3 year old child with red scrotal swelling which shows self resolution by next day morning and maximum in evening with positive transillumination test. Diagnosis:
1. Scrotal abscess
2. Congenital hydrocele
3. Secondary abscess
4. Infantile hydrocele

Correct answer: 2. Congenital hydrocele

Explanation: Ans. (b) Congenital hydroceleRef: Bailey & Love 26th ed. /1382* Hydrocele is an accumulation of fluid in layers of tunica vaginalis.* Vaginal hydrocele: MC type. Accumulation of fluid within tunica vaginalis layers* Infantile hydrocele: doesn't necessarily appear in infants. The tunica and processus vaginalis are distended to the inguinal ring without any connection with peritoneal cavity.* Congenital hydrocele:# It is due to patent processus vaginalis which allows peritoneal fluid to move freely.# Size of hydrocele fluctuates usually related to activity# Treatment: herniotomy